Measures involved in sentinel surveillance include all of the following except:-
1. Identifying missing cases in notification of diseases
2. Identifying new cases of infection
3. Identifying old and new cases
4. Identifying cases free of disability

Correct answer: 4. Identifying cases free of disability

Explanation: Sentinel surveillance: It is a method for identifying the missing cases & thereby supplementing the notified cases. It is extrapolated to entire population, to estimate disease prevalence in total population. It minimizes reporting bias & simplifies feedback of information to the providers.